An 18-year-old girl is brought to hospital because of weakness. She feels well, but is under a lot of stress at school. Most of her time is spent studying, dieting, and exercising. On physical examination she is 5'8" weighs 85lbs, and appears unwell. The blood pressure is 85/70 mm Hg, heart rate is 50/min, and there is prominent muscle wasting. Which of the following is this patient most likely at risk for?
1. renal failure
2. ventricular tachyarrhythmias
3. DM
4. hyperthermia

Correct answer: 2. ventricular tachyarrhythmias

Explanation: Patients with severe eating disorders are at risk of ventricular tachyarrhythmias. Risk of death in anorexia nervosa is also associated with hypothermia, suicide, or pneumonia with emaciation. Because of the danger of ventricular tachyarrhythmias, patients should be followed with ECGs. A prolonged QT interval is a sign of danger. In addition, severe weight loss can lead to both systolic and diastolic dysfunction of the ventricles. Diabetes is not a feature of eating disorders and acute kidney injury can sometimes develop in severe volume depletion states, but not typically seen.